Paneth cells contain -
1. Zinc
2. Copper
3. Molybdenum
4. Selenium

Correct answer: 1. Zinc

Explanation: Paneth cells are zinc-containing cells widely distributed in Lieberkuhn's crypts of the intestine in a variety of species.
These cells have atypically oriented bright eosinophilic granules containing a variety of antimicrobial proteins and play a role in mucosal immunity (and not mucin secretion).
The principal defence molecule secreted by Paneth cells are alpha-defensins.
In addition to defensins, Paneth cells secrete lysozyme, TNF- α, and phospholipase-A2.